Panel discussion can be defined as -
1. Series of speeches
2. Discussion by 4-8 qualified persons
3. Groups describing individual experiences
4. Stage wise formatted teaching

Correct answer: 2. Discussion by 4-8 qualified persons

Explanation: - panel discussion is a group approach in health communication. - in a panel discussion, 4-8 people who are qualified to talk about a topic sit and discuss a given problem or topic in front of a large group or audience. Reference : Park's textbook of preventive and social medicine, 23rd edition, pg no:865